True statement regarding the Parathyroid glands is all Except
1. Superior parathyroid develops from the III pharyngeal pouch
2. The normal parathyroid gland weighs up to 50 mg
3. Inferior parathyroid gland descends along with the thymus
4. The superior parathyroid is more consistent in position than the inferior.

Correct answer: 1. Superior parathyroid develops from the III pharyngeal pouch

Explanation: The inferior and superior parathyroid glands develop from the third and fourth pharyngeal pouches respectively. The thymus also develops from the third pouch. As it descends it takes the inferior parathyroid gland with it which explains why the inferior parathyroid which arises from the third pharyngeal pouch normally lies inferior to the superior gland. However, the inferior parathyroid may be found anywhere along this line of descent.